Regarding Precipitous labour , all of the following statements are true EXCEPT ?
1. An expulsion of the fetus in < 3 hours
2. Can be frequently followed by uterine atony
3. Neonatal outcome is uniformly good
4. Maybe associated with uterine, cervical or vaginal lacerations

Correct answer: 3. Neonatal outcome is uniformly good

Explanation: Precipitous labor It is an extremely rapid labor and delivery, resulting in expulsion of the fetus in<3 hours. It is frequently followed by uterine atony. The uterus that contracts with unusual vigor before delivery is likely to be hypotonic after delivery. Adverse perinatal outcomes from rapid labor are there such as intracranial trauma, Erb palsy. Vigorous uterine contractions combined with a long, firm cervix and a non-compliant birth canal may lead to uterine rupture or extensive lacerations of the cervix, vagina, vulva, or perineum